All of the following lab tests can be used to distinguish Streptococcus mutans from other oral streptococci, except
1. Gram staining
2. Fermentation of mannitol and sorbital
3. Production of intracellular and extracellular adherent polysaccharide
4. Colony morphology on saliva agar

Correct answer: 1. Gram staining